Which of the following is a peripherally acting muscle relaxant
1. Chlorozoxazone
2. Methocarbomol
3. Succinyl choline
4. Cortisopradol

Correct answer: 3. Succinyl choline